Liver biopsy is done through 8th ICS midaxillary line to avoid
1. Lung
2. Pleural cavity
3. Subdiapragmatic space
4. Gall bladder

Correct answer: 1. Lung

Explanation: Liver biopsy is done through 8th ICS in mid axillary line to avoid lung Liver Biopsy Needle biopsy has proved to be most useful technique to obtain representative liver tissue for analysis For accurate and reliable grading and staging of chronic viral hepatitis, a biopsy specimen of 2cm in length or longer containing at least 11 complete portal tracts is needed Liver biopsy is done through 8th ICS in midaxillary line to avoid Lung Ref: Shackelford 7th edition Pg no :1491-1492